The muscle responsible for falsetto voice of puber phonia is
1. Vocalis
2. Thyroarytenoid
3. Posterior cricoarytenoid
4. Cricothyroid

Correct answer: 4. Cricothyroid

Explanation: Cricothyroid is the main tensor responsible for the falsetto voice in puberphonia. There is hyperkinetic function and spasm of cricothyroid muscle. Ref:- TB of ENT Hazarika; pg num:- 636